Which of the following is an oral direct thrombin inhibitor?
1. Dabigatran
2. Rivaroxaban
3. Warfarin
4. Lepirudin

Correct answer: 1. Dabigatran

Explanation: ORAL: Direct thrombin inhibitor- Dabigatran, Ximelagatran Direct factor Xa inhibitors Apixaban Rivaroxaban Edoxaban Betrixaban Warfarin inhibits Epoxide Reductase thus ?Activated Vit k - ? decreased gamma carboxyglutamate residue ?functionality of factor 2,7,9,10 Lepirudin: - Parenteral Direct Thrombin Inhibitor